Which of the following groups of proteins assist in the folding of other proteins ?
1. Proteases
2. Proteosomes
3. Templates
4. Chaperones

Correct answer: 4. Chaperones